Commonest type of ectopic pregnancy with rupture is:
1. Isthmic
2. Ampulla
3. Interstitial
4. Intundibula

Correct answer: 1. Isthmic

Explanation: Isthmic